Which neo-adjuvant chemotherapy is used in Esophageal carcinoma
1. Cisplatin
2. Cyclophosphamide
3. Doxorubicin
4. Methotrexate

Correct answer: 1. Cisplatin

Explanation: Answer is A (Cisplatin): Chemotherapy for esophageal cancer has improved considerably with the advent of regimens containing Cisplatin. - Bailey The best responses are seen in Squamous cell carcinomas.